Articular surfaces >=3 are present which type of joint ?
1. Compound joint
2. Synarthrosis joint
3. Complex joint
4. Simple joint

Correct answer: 1. Compound joint

Explanation: >= 3 Articular surfaces in a joint= Compound joint. Type of joint Articulation surface Example Simple 2 Shoulder joint, Hip joint Compound >= 3 Elbow joint, Wrist joint Complex Intra-articular disc between the articular surface Temporomandibular joint, Sternoclavicular joint